The following diseases are associated with Epstein-Barr virus infection, EXCEPT:
1. Infectious mononucleosis
2. Epidermodysplasia verruciformis
3. Nasopharyngeal carcinoma
4. Oral hairy leukoplakia

Correct answer: 2. Epidermodysplasia verruciformis

Explanation: Ans. b. Epidermodysplasia verruciformis Epstein Barr Virus may lead to the following: Infectious mononucleosis EBV associated tumors Ref: Harrison's Principles of Internal Medicine, 16th Edition, Pages 1046, 47